Statins act on w hich enzyme:
1. Acyl CoA synthetase
2. Acyl CoA reductase
3. HMG CoA Synthetase
4. HMG CoA reductase

Correct answer: 4. HMG CoA reductase

Explanation: Ans. is 'D' i.e., HMG CoA reductase Hypolipidemic drugsHMG-CoA reductase inhibitors (statins) - Lovastatin, Simvastatin, Pravastatin, Atorvastatin, Rosuvastatin.Bile acid sequestrants (Resins) - cholestyramine, colestipol.Activate lipoprotein lipase (fibric acid derivatives) - clofibrate, gemfibrozil, bezafibrate, fenofibrate.Inhibit lipolysis and triglyceride synthesis - Nicotinic acid.Other - Ptobucol, Gugulipid.. Ezetimibe, Avasimibe, Torcetrapib.o Ezetimibe inhibits intestinal cholesterole absorption.o Avast mi he inhibits enzyme acyl Coenzyme A: cholesterol acyl transferase-1 (ACAT-1) which causes esterification of cholesterol.o Torcetrapib inhibits cholesterol ester triglyceride transport protein --| HDL cholesterol.